Highest priority is given to which color code in Triage-
1. Red color
2. Yellow color
3. Green color
4. Black color

Correct answer: 1. Red color

Explanation: Ans. is 'a' i.e., Red colour * The most common triage classification system used international is four colour code system.1. Red - High priority treatment or transfer2. Yellow - Medium priority3. Green - Ambulatory patients4. Black - Dead or moribund patients